The following drug is effective in treatment of ptyriasis versicolor –
1. Ketoconazole
2. Metronidazole
3. Griseofulvin
4. Chloroquine

Correct answer: 1. Ketoconazole

Explanation: Treatment of P. versicolor

Systemic → Ketoconazole, Fluconazole, Itraconazole.
Topical → Azoles (clotrimazole, econazole, micronazole, ketoconazole), selenium sulfide, sodium thiosulphate, whitfield's ointment (3% salicylic acid + 6% benzoic acid).